The Schilling test is performed to determine the cause of -
1. Lactose malabsorption
2. Fatty acid malabsorption
3. Amino acid malabsorption
4. Cobalamin malabsorption

Correct answer: 4. Cobalamin malabsorption